Left medial sector contains segment
1. III, IV
2. II, III
3. I, II
4. I, IV

Correct answer: 1. III, IV

Explanation: Left medial sector contains segment III and IV Left lateral sector contains only one segment II Ref: Sabiston 20th edition Pgno : 1421-1422